Absence of rhizoids is the characteristic feature of
1. Rhizopus
2. Absidia
3. Mucor
4. All the above

Correct answer: 3. Mucor

Explanation: Mucor species can be differentiated from moulds of the genera Absidia, Rhizomucor, and Rhizopus by the shape and insertion of the columella, and the lack of stolons and rhizoids Rhizoids are protuberances that extend from the lower epidermal cells Ref: Baveja 5th ed pg: 566